Common carotid artery divides at the level of -
1. Hyoid bone
2. Cricoid cartilage
3. Superior border of thyroid cartilage
4. Inferior border of thyroid cartilage

Correct answer: 3. Superior border of thyroid cartilage